Subconjunctival cyst is seen in?
1. Toxoplasmosis
2. Cysticercosis
3. Leishmaniasis
4. Chaga's disease

Correct answer: 2. Cysticercosis

Explanation: Ans. is b i.e., Cysticercosis Parasitic cysts occurs in subconjunctival cysticercus, hydatid cyst and filarial cyst.